The following are characteristics of central fever except
1. No diurnal variation
2. No sweating
3. Decreased response to external cooling
4. Resistant to antipyretics

Correct answer: 3. Decreased response to external cooling

Explanation: Central fever is due to a brain lesion that has disturbed hypothalamic temperature-regulating centers and has features like:Very high temperature like 42-44 deg CRelative bradycardiaNotable absence of perspirationNo diurnal variationPersists for days to weeksResistant to antipyretics(Ref: Harrison's 18/e p1716)